Appendix of the testis is derived from?
1. Mesonephric ducts
2. Paramesonephric duct
3. Wolffian duct
4. Cloaca

Correct answer: 2. Paramesonephric duct

Explanation: ANSWER: (B) Paramesonephric ductREF: Langman s medical embryology 9th ed p. 340-341Repeat Anatomy December 2011See APPENDIX-5 for "ADULT DERIVATIVES AND VESTIGIAL REMAINS OF EMBRYONIC UROGENITAL STRUCTURES" APPENDIX - 5Adult Derivatives and Vestigial Remains of Embryonic Urogenital StructuresEmbryonic StructureMaleFemaleGonadal RidgeCortexMedullaTestisSeminiferous tubules Rete testisOvaryOvarian folliclesMedullaRete ovariiGubernaculumGubernaculum testisOvarian ligamentRound ligament of uterusMesonephric tubulesDuctus efferentesParadidymisEpoophoronParoophoronMesonephric ductAppendix of epididymisDuctus epididymidisDuctus deferensUreter, pelvis, calices, and collecting tubulesEjaculatory duct and seminal vesicleAppendix vesiculosa Duct of epoophoron Duct of GartnerUreter, pelvis, calices, and collecting tubulesParamesonephric duct (Mullerian duct)Appendix of testisHydatid (of Morgagni)Uterine tubeUterusUpper VaginaUrogenital sinusUrinary bladderUrethra (except glandular portion)Prostatic utricleProstate glandBulboureth rod glandsUrinary bladder UrethraLower Vagina (from sinovaginal bulb)Urethral and paraurethral glandsGreater vestibular glandsVestibule of vaginaMullerian tubercleSeminal colliculusHymenGenital tuberclePenisGians penisCorpora cavernosa penisCorpus spongiosumClitorisGians clitoridisCorpora cavernosa clitoridisBulb of the vestibuleUrogenital foldsVentral aspect of penisLabia minoraLabioscrotal swellingsScrotumLabia majora